Best gas used for creating pneumoperitonium at laparoscopy is
1. N2
2. O2
3. CO2
4. N2O

Correct answer: 3. CO2

Explanation: Ans. (c) CO2Ref: Shaws 15th ed. 1492Pnenumoperitoneum in created with CO2 or nitrous oxide. CO2 is preferred because nitrous oxide can cause explosion in the presence of volatile anaesthetic drug.